Which of the following impart structural durability in a three quarter crown  preparation on a mandibular molar?
1. Occlusal shoulder
2. Functional cusp bevel
3. Proximal groove
4. All of the above

Correct answer: 4. All of the above